Vogt Koyanagi Harada syndrome is -
1. Cataract
2. C.N.S. tumour
3. Uveitis
4. Polycystic kidney

Correct answer: 3. Uveitis

Explanation: Ans. is 'c' i.e., UveitisClinical manifestations of Vogt Kavanadi Harada syndromeOccular involvementC.N.S. involvementAuditory manifestationCutaneous manifestationOccular involvementB/L panuveitis ino Meningismuso Hearing losso VitiligoB/L panuveitis inassociation with serouso Headacheo Tinnituso Alopeciaassociation w'ith serousretinal detachmento C.S.F. Pleocytosis retinal detachmentAccording to American uveitis society the criteria for diagnosis of VKH syndromeo No history' of ocular trauma or surgery.o At least three of four of the following signsBilateral chronic iridocyclitis.Posterior uveitis, including exudative retina! detachment, disc hyperemia or edema and sunset glow fundus.Neurological sign of tinnitus, neck stiffness cranial nerve or CNS problems or CSF pleocytosis.Cutaneous finding of alopecia, poliosis or vitiligo.